Thoracic outlet syndrome is primarily diagnosed by
1. Clinical Evaluation
2. CT scan
3. MRI
4. Angiography

Correct answer: 1. Clinical Evaluation

Explanation: The initial presentation of thoracic outlet syndrome(eg.,in cervical rib)is dependent on whether the compression is primarily vascular,neurogenic or a combination of both.Vascular thoracic outlet syndrome can involve subclavian artery or vein presenting with colour changes of affected upper extremity,claudication,or diffuse pain.Neurogenic syndrome involves brachial plexus presenting as sensory loss,pain or paraesthesia. Reference:Bailey & Love's short practise of surgery,25th edition,pageno:895.